All are true about thymoma except:
1. MC tumor in anterior mediastinum
2. Treatment is thymectomy
3. Symptomatic cases present as endocrine abnormalities
4. May be associated with myasthenia gravis

Correct answer: 3. Symptomatic cases present as endocrine abnormalities

Explanation: Answer- C. Symptomatic cases present as endocrine abnormalitiesCharachteristic SyndromesMyaesthenia Gravis (most common)Acquired Hypogammaglobulinemia (10%)Pure Red Cell Aplasiac